Extensor carpi Radialis longus is crossed by which of the following two muscles-
1. Abductor Pollicis Longus and Extensor Pollicis brevis
2. Extensor digitorum and extensor indicis
3. Abductor Pollicis Longus and Extensor Indicis
4. Brachioradialis and Extensor digiti minimi

Correct answer: 1. Abductor Pollicis Longus and Extensor Pollicis brevis

Explanation: Ans. is 'a' i.e., Abductor Pollicis Longus and Extensor Pollicis brevis * Extensor carpi Radialis longus lies in the 2nd extensor compartment and is crossed by the following muscles.# Abductor Pollicis Longus and Extensor Pollicis brevis (1st extensor compartment)# Extensor Pollicis Longus (3rd extensor compartment)